Slowest conductig nerve fibre is
1. Pre ganglionic autonomic
2. Post ganglionic autonomic
3. Somatic motors
4. Proprioception

Correct answer: 2. Post ganglionic autonomic

Explanation: Postganglionic autonomic fibres are type C fibres which are unmyelinated. Hence they are slowest conducting nerve fibre.